During activation of a scaling instrument, the facial
surface of the blade and the tooth surface should form an angle of
1. > 15 but < 45
2. > 30 but < 60
3. > 45 but < 90
4. 90 but < 180

Correct answer: 3. > 45 but < 90